A 35 year pregnant woman comes graves disease in first trimester. What is preferred treatment?
1. Drugs alone
2. Surgery followed by drugs
3. Radio- iodine ablation
4. Observation

Correct answer: 1. Drugs alone

Explanation: PTU is given in pregnant woman. Carbimazole is contraindicated.